A child is brought by mother with HO massive hematemesis with HO drug intake previously with NSAIDS and on Rx. Associated with moderate splenomegaly  diagnosis is –
1. Oesophageal varices
2. Duodenal ulcer
3. Drug induced gastritis
4. Peptic ulcer

Correct answer: 1. Oesophageal varices

Explanation: Clues in this question are -

1) H/0 massive hematemasis                                   
2) Splenomegaly

Amongst the given options, splenomegaly will be seen only in esophageal varices due to portal hypertension.